Course of the great saphenous vein lies in what relation to the malleoli?
1. Anterior to the medial malleolus
2. Posterior to the medial malleolus
3. Anterior to the lateral malleolus
4. Posterior to the lateral malleolus

Correct answer: 1. Anterior to the medial malleolus

Explanation: Great saphenous vein lies anterior to medial malleolus.